Worst prognosis in renal cell carcinoma is assocaited with -
1. Haematuria
2. Size>5cm
3. Invasion of renal vein
4. Pulmonary secondaries

Correct answer: 4. Pulmonary secondaries